Regarding FeNa, which of the following is true?
1. FeNa is lower in neonates when compared to children
2. FeNa is higher in intrinsic renal failure than pre renal failure
3. Measurement of FeNa is NOT affected by use of diuretic
4. FeNa is similar in both pre term and term neonate

Correct answer: 2. FeNa is higher in intrinsic renal failure than pre renal failure

Explanation: Fractional excretion of sodium (FeNa) FeNa is the urine:plasma ratio of sodium divided by U:P of creatinine * 100 Neonates have higher FeNa because of tubular immaturity. FeNa is higher in preterm neonates due to immaturity of sodium reabsorptive capacity. FeNa may be affected by diuretics use. Classical lab findings in AKI- Type U Na FeNa Prerenal <10 <1% Intrinsic >20 >2% Postrenal >40 >4%